Contraindications to major hepatic resection for metastatic disease include all of the following except?
1. Total hepatic involvement
2. Advanced cirrhosis
3. Extrahepatic tumor involvement
4. Jaundice from extrinsic ductal obstruction

Correct answer: 4. Jaundice from extrinsic ductal obstruction

Explanation: Ans. is 'd' i.e., Jaundice from extrinsic ductal obstruction